Secukinumab is used in :
1. Rheumatoid arthritis
2. Psoriasis
3. Colorectal carcinoma
4. Breast cancer

Correct answer: 2. Psoriasis

Explanation: Secukinumab is a monoclonal antibody against IL - 17 used in the treatment of Psoriasis.